An event that is caused by an error in vaccine preparation, handling, or administration is called as:
1. Coincidental event
2. Injection reaction
3. Vaccine reaction
4. Programme error

Correct answer: 4. Programme error

Explanation: d. Programme error(Ref: IAP Guidebook on immunization 2013-14/p 89)Event caused by an error in vaccine preparation, handling, or administration is called a 'Programme error', e.g. deaths following measles vaccination due to toxic shock syndrome resulting from improper reconstitution & storage of measles vaccine.